Which one of the following molecules serve as the earliest marker in myocardial infarction
1. Myoglobin
2. Troponin
3. HbA2
4. CK MB

Correct answer: 1. Myoglobin

Explanation: Myoglobin is found in cardiac and skeletal muscle. It is released more rapidly from infarcted myocardium than troponin and CK-MB and may be detected as early as two hours after an acute myocardial infarction. Ref: Biochemistry by U. Satyanarayana 3rd edition Pgno : 107-112